Among the following, T cell independent antigen acts through—
1. T cell
2. B cell
3. Macrophage
4. CD8+ cells

Correct answer: 2. B cell